Microalbuminuria is defined as-
1. 0.3-0.5 g of 24 hours urine protein
2. 0.03-0.3 g of 24 hours protein
3. 0.03-0.3 g of 24 hours urine albumin
4. > 2.5 g of 24 hours urine protein

Correct answer: 3. 0.03-0.3 g of 24 hours urine albumin

Explanation: Ref:Harrison 20th edition pg no. 2134 Albumin is detected by radioimmunoassay. Albumin /creatinine (mg/g) 24h urine protein (mg/24h) 24 hr albumin(mg/24h) Normal <30 <150 8-10 Microalbuminiuria 30-300 - 30-300 Proteinuria >300 >150 >300 Ref Harrison20th edition pg 267